Surgery for ductal ectasia
1. Microdochectomy
2. Radical duct excision
3. Radiation
4. Chemotherapy

Correct answer: 2. Radical duct excision

Explanation: Answer- B. Radical duct excisionDuct ectasia of the breast or m:rmmary duct ectasia or plasma cell mastitis is a condition in which the lactiferousduct becomes blocked or clogged.This is the most common cause of greenish discharge.Clinical featuresNipple discharge of any colour, abscess, mammary duct fistula, subareolar mass and nipple retraction.TreatmentAntibiotic therapy may be tried but surgery is mostly required to cure this notoriously difficult condition. Surgery consists of excision of all the maior ducts (Hadfield's operation)